Trigeminal neuralgia
1. Does not disturb the patient during sleep
2. Can be treated with NSAID's
3. Always bilateral in distribution
4. Is a hereditary condition

Correct answer: 1. Does not disturb the patient during sleep

Explanation: Carbamazepine is the drug of choice in trigeminal neuralgia.